Following test is used to assess the warfarin dose?
1. BT
2. CT
3. APTT
4. PT/INR

Correct answer: 4. PT/INR

Explanation: Ans. is 'd' i.e. PT/INR * Monitoring of unfractionated heparin - aPTT* Monitoring of oral anticoagulants - PT/INR* Monitoring of LMW heparins - No monitoring required